Total duration of antibiotics in acute osteomyelitis is
1. 4 weeks
2. 2 weeks
3. 6 weeks
4. 8 weeks

Correct answer: 3. 6 weeks

Explanation: Teatement is started with , IV antibiotics until condition begins to improve or Crp values return to normal, usually for 2 weeks. Thereafter antibiotics ae given orally for another 4 weeks. Change of antibiotics or surgery is considered, if no improvement occurs within 48hrs of antibiotics. ref : maheswari 9th ed